Salmonella typhi is the causative agent of typhoid fever. The infective dose of S.typhi -
1. One bacillus
2. 108 - 1010 bacilli
3. 102 - 105 bacilli
4. 1 - 10 bacilli

Correct answer: 3. 102 - 105 bacilli

Explanation: All Salmonella infections begin with ingestion of organisms, most commonly in contaminated food or water. The infectious dose is 103–106 colony-forming units.